All of the following constitute the Charcot’s Triad except -
1. Pain
2. Fever
3. Jaundice
4. Septic Shock

Correct answer: 4. Septic Shock

Explanation: Charcot’s triad comprises of:

Pain abdomen
Jaundice
Fever with Chills

Presence of the triad indicates cholangitis Note:
Reynolds’s pentad → Charcot’s triad + Septic Shock+Mental status changes